Best prognostic type of Hodgkins Disease
1. Lymphocyte predominant
2. Lymphocyte depletion
3. Mixed cellularuty
4. Nodular sclerosis

Correct answer: 1. Lymphocyte predominant

Explanation: The treatment of patients with nodular lymphocyte-predominantHodgkin's lymphoma is controversial. Some clinicians favor no treatmentand merely close follow-up. In the United States, most physicianswill treat localized disease with radiotherapy and disseminated diseasewith regimens used for patients with classical Hodgkin's lymphoma.Regardless of the therapy used, most series report a long-term survivalof >80%.Reference: Harrison Principles of Internal Medicine; 19th edition; Chapter 134 Malignancies of Lymphoid Cells